Intraperitoneal bladder rupture management:
1. Antegrade cystogram is needed
2. Requires laparotomy
3. Simple catheter drainage is the treatment
4. Conservative management

Correct answer: 2. Requires laparotomy

Explanation: Intraperitoneal Rupture (20%) Blow, kick or fall on fully distended bladder Apart from classic triad suggestive of bladder rupture (Suprapublic pain and tenderness + difficulty in ability to pass urine + hematuria) patients develop Peritonitis and abdominal distention. Diagnosis is made by Retrograde cystography or CT cystography. Laparotomy with peritoneal lavage and bladder repair with SPC should be done. Cystography demonstrates typical Sun - burst appearance.